A 40-year-old female previous case history of fever, weight loss polyarthralgia. Morning stiffness and bilateral hand pain the radiological finding is given below, what may be your diagnosis?
1. Osteoarthritis
2. Rheumatoid arthritis
3. Gout
4. Psoriatic Arthritis

Correct answer: 2. Rheumatoid arthritis

Explanation: X-ray image shows destruction of proximal interphylangeal joints RA - Typically in a female of 30-40 years with complain of polyarthralgia, swelling and loss of weight. It usually involves the proximal joints of the fingers and has bilateral involvement. Another classic feature is generalized stiffness after periods of inactivity, especially in the early morning. Gout - 70% of acute gout affects the 1st metatarsal phalangeal joints.in joint aspiration needle shaped negatively biferingent mono sodiaum urate crystals are seen Psoriatic arthritis - It presents with arthritis of DIP joints. Psoriasis of skin and nails usually precedes the arthritis. * Osteoarthritis - It commonly affects DIP and the thumb base in the hand. But it will not present with severely deformed hand.